A 3-month-old infant is diagnosed with a deletion at the 22q11 chromosome. A routine cardiovascular examination reveals severe congenital cardiac malformation. Which of the following malformations will most likely be associated with 22q11 syndrome?
1. Tetralogy of Fallot and truncus arteriosus
2. Transposition of the great arteries
3. Atrial septal and ventricular septal defects
4. Coarctation of the aorta

Correct answer: 1. Tetralogy of Fallot and truncus arteriosus

Explanation: Tetralogy of Fallot and truncus arteriosus are associated with DiGeorge syndrome (22q11). Transposition of the great arteries is associated with maternal diabetes. ASDs and VSDs are present in individuals with Down syndrome. Coarctation of the aorta is related to Turner syndrome. Aortic atresia is present in individuals with Marfan syndrome. CATCH 22 = mnemonic for DiGeorge syndrome Cardiac - aortic arch anomalies, conotruncal (TOF, truncus arterious, interrupted aorta), tricuspid atresia, Abnormal facies - hypertelorism, ear anomalies, short down slanting palpebral fissures (antimongoloid), short philtrum Thymic hypoplasia - cellular immune deficiency: abnormal number and function of T-cells) Cellular immune deficiency; Cleft palate Hypoparathyroid with hypocalcemia - tetany 22 Chromosome defect deletion 22q11; dx by FISH